Computed Tomography (CT scan) is least accurate for diagnosi of –
1. Aneurysm in the Hepatic Artery
2. Lymph node in the para- aortic region
3. Mass in the tail of pancreas
4. Gall stones

Correct answer: 4. Gall stones

Explanation: Computed Tomography (CT) scan has limited value in the diagnosis of gallstones since gallstones may exhibit the same radiographic density as bile and hence may not be seen on CT.